Following drugs are known to contribute to urinary Incontinence except
1. Nicardipine
2. Haloperidol
3. Metoprolol
4. Prazosin

Correct answer: 3. Metoprolol

Explanation: Medications that may cause urinary incontinence include:

Alcohol
α agonist and blockers
ACE Inhibitors
Calcium channel blockers
Diuretics
Narcotics
Thiaxolidinediones.